Fertilization can occur within how many hours after ovulation?
1. 24
2. 12
3. 36
4. 48

Correct answer: 1. 24

Explanation: Window period for fertilization Fertilization should occur within 24 hrs after ovulation. Life span of ovum - 24 hrs Sperms are capable of fertilization for 48 hrs after ejaculation Sperms survival time in female is 5-10 days